ECG features of Athlete's Heart include all of the following except:
1. High QRS Voltage
2. Early repolarization
3. Tall peaked T waves
4. Shortened QT Interval

Correct answer: 4. Shortened QT Interval

Explanation: Answer is D (Shortened QTc Interval) Athletes Heart is associated with a prolonged QT Interval and not a shortened QT interval. Athlete's heart is usually associated with a prolonged QT interval because of bradycardia. When corrected for heart rate the QT Interval (QT c) is usually at the upper limit. Common ECG findings in Athletic Heart syndrome Sinus bradycardia Sinus arrhythmia First-degree AV block Second Degree Heart Block (Mobitz 1; Wenckebach AV block) Incomplete RBBB Notched p waves (increase in amplitude and duration) RVH by voltage criteria (High QRS Voltage) LVH by voltage criteria (High QRS Voltage) Early repolarization changes Prolonged QT Interval (Due to bradycardia) QTc interval at upper limit (QTc is QT Interval corrected for Heart Rate) Tall, Peaked T waves Prominent U Waves